An early systolic murmur may be caused by all of the following, EXCEPT:
1. Small ventricular septal defect
2. Papillary muscle dysfunction
3. Tricuspid regurgitation
4. Aortic stenosis

Correct answer: 4. Aortic stenosis

Explanation: In Aortic stenosis, murmur is ejection systolic ie: murmur starts after the isovolumic or isometric contraction phase. So the murmur starts only after the opening of the semilunar valve. In all the other conditions murmur starts in the isometric contraction phase itself, so its early systolic.